In nux vomica poisoning the following are also required to be preserved -
1. Long bones
2. Brain
3. Muscles
4. Skin

Correct answer: 2. Brain

Explanation: Brain and spinal cord should be preserved for analysis (in addition to usual viscera) in deaths from suspected strychnine poisoning.